A young girl presents with abdominal pain and a recent change in bowel habit, with passage of mucus in stool. There is no associated blood in stool and symptoms are increased with stress. The most likely diagnosis is -
1. Irritable bowel syndrome
2. Ulcerative colitis
3. Crohn's disease
4. Amebiasis

Correct answer: 1. Irritable bowel syndrome